The spinal tract involved with the control of trunk muscles is:
1. Anterior corticospinal
2. Anterior spinocerebellar
3. Cuneocerebellar
4. Lateral corticospinal.

Correct answer: 1. Anterior corticospinal

Explanation: Anterior corticospinal tract controls axial muscles including the muscles of the trunk and head. Lateral corticospinal tract controls limb muscles Anterior spinocerebellar convey properioception information to cerebellum